Protein catabolism is increased in ?
1. Starvation
2. Burns
3. Surgery
4. All of the above

Correct answer: 4. All of the above

Explanation: Ans. is 'd'i.e., All of the above